Features of Rhabdomyolysis include all of the following, Except:
1. Acute muscular weakness
2. Myoglobinuria
3. Hemoglobinuria
4. Acute Renal Failure

Correct answer: 3. Hemoglobinuria

Explanation: Answer is C (Hemoglobinuria) Hemoglobinuria is not a feature of Rhabdomyolysis Acute muscular weakness is seen in Rhabdomyolysis Pain and swelling of the involved muscles and weakness of limbs occur especially in proximal distribution. - Current Diagnosis and Treatment in Emergency Medicine 6th/650 - Skeletal Muscle I' (2002)/8 Myoglobinuria is a feature of Rhabdomyolysis Rhabdomvolvsis leads to leakage of Myoglobin from muscle into the plasma and from plasma into urine causing mvoglobinuria. Rhabdomyolysis and Myoglobinuria reflect similar clinical conditions and are often grouped as Rhabdomyolysis - Myoglobinuria Syndrome. Rhabdomyolysis may present with Acute Renal failure Acute Renal failure is the major potential complication of Rhabdomyolysis.